Which material is not used for construction of conical pontic
1. All metal
2. PFM
3. All ceramic
4. Resin

Correct answer: 3. All ceramic